Which is the best parameter to monitor LMWH?
1. aPTT
2. PT
3. INR
4. An Xa level

Correct answer: 4. An Xa level

Explanation: LMWH does not need any monitoring except in some special circumstances like pregnancy and old age and kidney disease. And Xa level is best parameter for its monitoring.